Ziemann dots are seen in
1. P. Vivax
2. P. Falciparum
3. P. Malariae
4. P. Ovale

Correct answer: 3. P. Malariae

Explanation: Ziemann dots are small red dots stippling seen in P. Malariae.